A woman presents with a fluctuant non-tender swelling at the introitus. The best treatment is :
1. Marsupilization
2. Incision and drainage
3. Surgical resection
4. Aspiration

Correct answer: 1. Marsupilization

Explanation: Marsupialization Gratifying surgery for Bartholin's cyst An incision is made on the inner aspect of labium minus just outside the hymenal ring The incision includes vaginal wall and cyst wall Gland function remains intact Postoperative complications are almost nil Ref: D.C. Dutta's Textbook of Gynaecology, 6th edition, page no: 163